Which of the following joints do not have a fibrocartilaginous intra articular disc
1. Temporomandibular joint
2. Shoulder joint
3. Sternoclavicular joint
4. Inferior radioulnar joint

Correct answer: 2. Shoulder joint

Explanation: Shoulder joint doesn’t have a intra - articular disc.